A 35 - year old male develops involvements of PIP, DIP and metacarpophalangeal joints with sparing of wrist and carpometacarpal joints. The probable diagnosis is:
1. Psoriatic arthopathy
2. Osteo arthritis
3. Rheumatoid arthritis
4. Pseudo gout

Correct answer: 1. Psoriatic arthopathy

Explanation: Answer is A (Psoriatic arthropathy):Psoriatic arthritis involves PIP, DIP and metacarpophalangeal joints, and may or may not involve the wrist.Involvement of DIP makes rheumatoid arthritis unlikely. DIP is spared in rheumatoid arthritis.Involvement of metacarpophalangeal joints makes osteoarthritis unlikely. Metacarpophalangeal joints and carpometacarpal joint with the exception of base of thumb are spared in osteoarthritis.